All of the following are carcinogenic except
1. H. pylori
2. Hepatitis B virus
3. E.B. virus
4. Campylobacter

Correct answer: 4. Campylobacter